Bitemporal hemianopic visual field defect is characteristic feature in which of the following condition?
1. Glaucoma
2. Optic neuritis
3. Pituitary tumour
4. Retinal detachment

Correct answer: 3. Pituitary tumour

Explanation: Bitemporal hemianopia is a visual field defect that is usually due to chiasmatic disease such as a pituitary tumor growing up out of the sella turcica and pressing on the underside of the chiasm. The most common cause of bitemporal hemianopia is a pituitary adenoma, occasionally it results from other parasellar or suprasellar lesions such as meningioma, and craniopharyngioma. Lesions encroaching the optic chiasma from above tend to cause inferior temporal defects initially. The defect will be first and worst in the upper quadrants with infra chiasmatic masses. With suprachiasmatic masses the defect will be first and worst in lower quadrants. Ref: DeJong's The Neurologic Examination By William W. Campbell page 165.